A newborn was diagnosed as having a congenital abnormality that resulted in transposition of great vessels. While preparing the infant for surgery, the medical team needed to keep the ductus arteriosus open. They did this by infusing :
1. Cortisol
2. Indomethacin
3. Alprostadil
4. Tacrolimus

Correct answer: 3. Alprostadil